Most common tumour of heart is -
1. Myxoma
2. Rhabdomyosarcoma
3. Fibroma
4. Leiomyosarcoma

Correct answer: 1. Myxoma

Explanation: Ans. is 'a' i.e., Myxoma o The most frequent cardiac tumor for all age groups is - Metastasis. o The most frequent primary cardiac tumor for age groups is - Myxoma. o The most frequent primary cardiac tumor in infants and children is - Rhabdomyoma.